Which of the following is RNA with catalytic activity?
1. Ribonuclease P
2. Peptidyl transferase
3. Sn RNA
4. All of the above

Correct answer: 4. All of the above

Explanation: RNA with catalytic activity is known as Ribozyme. All the 3 enzymes given as Options are Ribozymes.